Acute PID is treated by:a) IV antibiotics (broad spectrum)b) Drainage of TO massc) Abdominal hysterectomyd) Laparoscopic exploration
1. acd
2. bcd
3. abd
4. ab

Correct answer: 3. abd

Explanation: Management of PID
• Broad-spectrum antibiotics (oral or IV)
• If tubo-ovarian mass/abscess is present – it should be treated medically but, if there is no response drainage should be done.
• Drainage of a pelvic abscess by colpotomy may occasionally be needed
Place of surgery in acute PID: Surgery can range from laparoscopy to laparotomy.
Indications
• No response to treatment and worsening of condition
• Ruptured tubo-ovarian abscess
• Drainage of a pelvic abscess
• Doubtful diagnosis
Other measures
• Male partners should receive prophylactic treatment for gonococcal and chlamydial infection
• Male partners should be counseled regarding condom use to prevent further exposure
• PID patients and their partners should be counseled regarding HIV and STDs and should be offered confidential HIV testing.
• If an IUCD is present, it must be removed once treatment is commenced.
• Contraceptive counseling must be provided